What is the total number of goals in the Millennium Development Goals?
1. 20
2. 10
3. 8
4. 6

Correct answer: 3. 8

Explanation: The Millennium Development Goals were adopted in 2000. There are 8 goals, of which 3 are directly related to health. Ref: Park, 21st Edition, Page 11.